Randomisation is useful to eliminate:
1. Observer bias
2. Confounding factors
3. Patient bias
4. Sampling bias

Correct answer: 2. Confounding factors

Explanation: Ans: bRef: Park, 17th ed, p. 72 & 18th ed, p. 76